Gel used in electrophoresis is/are:
1. Agarose gel
2. Polyacrylamide plain gel
3. Polyacrylamide SDS (Sodium dodecyl sulphate) impregnated Polyacrylamide gel
4. all of the above

Correct answer: 4. all of the above

Explanation: Ans. d- all of the above Separation of RNA in agarose gels is used for a number of different purposes, including Northern blots to monitor RNA expression levels, checking RNA integrity and size selection of RNA for cloning experiments. Separation of RNA based on fragment length requires conditions that are different from DNA analysis.These include sample preparation, the use of sample and gel denaturants, electrophoresis buffers, and visualization. The purpose of the experiment and the size of the RNA being separated are the primary drivers in determining which denaturing system to use.The most frequently used denaturants for RNA agarose gel electrophoresis are formaldehyde, formaldehyde/formamide, and glyoxal plus DMSO.